Negri bodies are characteristic of
1. Measles
2. Tetanus
3. HIV/AIDS
4. Rabies

Correct answer: 4. Rabies

Explanation: Negri bodies are the inclusion bodies of the rabies virus formed in brain cells most commonly found in cerebellum (purkinje cells). Inclusion bodies are nuclear or cytoplasmic aggregates of stable substances, usually proteins. They typically represent sites of viral multiplication in a bacterium or a eukaryotic cell and usually consist of viral capsid proteins. Microscopic features of few disease:- Disease Microscopic feature Measles Warthin Finkeldy cells Rabies Negri bodies Trachoma Halbester Prowazek bodies Tetanus is a bacterial disease- caused by Cl. tetani, no inclusion bodies are seen.